A 30 years old man presents with cramping gluteal pain after walking 500 meters. Which is the vessel involved?
1. Arterial disease with aorto-iliac involvement
2. Arterial disease with femoral artery involvement
3. Femoral venous insufficiency
4. Saphenous venous insufficiency

Correct answer: 1. Arterial disease with aorto-iliac involvement

Explanation: Aorto-iliac disease - Tissue distal to artery occlusion becomes ischemic - as this artery supplies muscles - causes Intermittent claudication like Buttock, thigh, calf claudication andLeriche syndrome - Erectile dysfunction - Impotence